How do proteins enter peroxisomes?
1. Folded, using a C-terminal or internal signal sequence
2. Folded, using an N-terminal or internal signal sequence
3. Unfolded, using a C-terminal or internal signal sequence
4. Unfolded, using an N-terminal or internal signal sequence

Correct answer: 1. Folded, using a C-terminal or internal signal sequence

Explanation: Peroxisomal proteins are fully folded in the cytoplasm and enter the organelle in folded form. The most common signal sequence which directs proteins to peroxisomes is a C-terminal Ser-Lys-Leu tripeptide. Reference: Harper; 30th edition